Which of the following statements best describes an 'orphan drug' ?
1. It is a drug which acts on orphanin receptors
2. It is a very cheap drug
3. It is a drug which has no therapeutic use
4. It is a drug required for treatment or prevention of a rare disease

Correct answer: 4. It is a drug required for treatment or prevention of a rare disease